When the jaw is opened
1. Condyles move upwards
2. Articular disc moves posteriorly
3. Lateral pterygoids contract
4. Condyles moves around vertical axis

Correct answer: 3. Lateral pterygoids contract